Lysozyme is present in the following secretions of the body except -
1. Lacrimal secretions
2. CSF
3. Saliva
4. Respiratory tract secretions

Correct answer: 2. CSF

Explanation: Lysozymes is present in tissue fluids and in nearly all secretions except cerebrospinal fluid, sweat and urine. It act by splitting certain polysaccharide components of the cell walls of susceptible bacteria . Reference : Anathanarayan & paniker's 9th edition, pg no:80